In random sampling chance of being picked up is
1. Same and known
2. Not same and not known
3. Same and not known
4. Not same but known

Correct answer: 1. Same and known

Explanation: Ans. is 'a' Same & known a Most samples used in biomedical research are probability samples, samples in which the researcher can specify the probability of each population element being included"There are four basic kinds of probability samples:Simple random samplesStratified random samplesCluster samplesSystematic samplesSimple random sample is the simplest probability samples, it is a sample drawn so that every element in the population has an equal probability of being includedThus reading these above quoted lines, make it clear that the probability of being included (ie chance of being picked up) is same and the researcher can specify it (ie the probability in known).